Mechanically, the strongest phase in amalgam restoration is
1. The original gamma phase (Ag3Sn)
2. The gamma I phase
3. The gamma II phase
4. The copper — Tin phase

Correct answer: 1. The original gamma phase (Ag3Sn)